Serotonin can be synthesized from :
1. Tryptophan
2. Tyrosine
3. Dopa
4. Epinephrine

Correct answer: 1. Tryptophan